Most common presentation of anterior wall cervical fibroid
1. Abdominal lump
2. Urinary retention
3. Per vaginal bleeding
4. Constipation

Correct answer: 2. Urinary retention

Explanation: Cervical fibroids are relatively uncommon, accounting for 2% of uterine leiomyomata. They arise in the cervix and are usually single. They tend to distort and elongate the cervical canal, and push the uterus upwards. Large tumors may cause elongation and distortion of the urethra, resulting in urinary retention.